A 10–year old child is undergoing squint surgery. He suddenly developed increased heart rate, arrhythmia, high fever, metabolic and respiratory acidosis on arterial blood gases and elevation of end tidal CO2. Which of the following would be the first agent of choice in the management of this condition?
1. Dantrolene
2. Paracetamol
3. Procainamide
4. Sodium bicarbonate

Correct answer: 1. Dantrolene

Explanation: This is a case of malignant hyperthermia. Dantrolene is the drug of choice for malignant hyperthermia.